Which of the following sets of condition is attributed to normal physiology of puerperium :
1. Tachycardia and weight gain
2. Retention of urine, constipation and weight gain
3. Constipation, tachycardia and retentio of urine
4. Retention of urine and constipation

Correct answer: 4. Retention of urine and constipation

Explanation: General Physiological Changes in Puerperium